Enterogastric reflex is stimulated by all except:
1. Alkaline content of small intestine
2. Hyperosmolarity of chyme
3. Distension of duodenum
4. None

Correct answer: 1. Alkaline content of small intestine

Explanation: A i.e. Alkaline Content of small intestine